A lady with 37 weeks pregnancy, presented with bleeding per vagina. Invetigation shows severe degree of placenta previa. The treatment is:
1. Immediate C.S.
2. Blood transfusion
3. Conservative
4. Medical induction of labour

Correct answer: 1. Immediate C.S.

Explanation: A patient with 37 weeks of pregnancy and severe degree of placenta previa with bleeding per vagina, the next step of management should be immediate C.S. Ref: Obstetrics and Gynecology By Charles R. B. Beckmann, American College of Obstetricians and Gynecologists, Barbara M. Barzansky, Frank W. Ling, Douglas W. Laube, 2009, Page 208